Schistosoma haematobium is most commonly associated with which of the following bladder cancers?
1. Squamous cell carcinoma
2. Adenocarcinoma
3. Small cell carcinoma
4. Transitional cell carcinoma

Correct answer: 1. Squamous cell carcinoma

Explanation: Squamous cell carcinoma bladder Schistosoma haematobium infections in endemic areas are an established risk for bladder cancer. 70% of cancers with history of S. haematobium infection are squamous cell carcinoma.